The functions of myoepithilial cells may be:
1. Initiating contraction
2. Support for the end piece during active secretion of saliva
3. Provide signals to the acinar secretory cells for structural organization
4. All of the above.

Correct answer: 4. All of the above.